Anterior interosseous nerve supplies all muscles except
1. Flexor digitorum profundus
2. Pronator quadratus
3. Flexor digitorum superficialis
4. Flexor pollicis longus

Correct answer: 3. Flexor digitorum superficialis

Explanation: Flexor digitorum superficialis is supplied directly by median nerve and not by Anterior interosseous nerve.